All are seen in Marasmus Except
1. Hepatomegaly
2. Muscle wasting
3. Voracious appetite
4. Weight loss

Correct answer: 1. Hepatomegaly

Explanation: Marasmus is characterized by gross wasting of muscle and subcutaneous fat. The body weight is less than 60% of the expected weight for age. The affected child will be active and has a voracious appetite. Ref: Page 104; Ghai Essential Pediatrics; 6th edition